True about the lesions of lichen planus ?
1. Polygonal violaceous paple
2. Affect skin and mucous membranes
3. Are pruritic
4. All the above

Correct answer: 4. All the above

Explanation: Ans. is 'd' i.e., All the above